A 55 years old female comes to the eye casualty with history of severe eye pain, redness and diminution of vision. On examination, the visual acuity is 6/60, there is circumcorneal congestion, corneal oedema and a shallow anterior chamber. Which of the following is the best drug of choice?
1. Atropine ointment
2. I.V. Mannitol
3. Ciprofloxacin eye drops
4. Betamethasone eye drops

Correct answer: 2. I.V. Mannitol

Explanation: Ans is 'b' i.e., I.V. Mannitol